Facial nerve is injured during parotid surgery. Best management would be:
1. Immediate repair
2. Repair after 1 week
3. Repair after waiting for partial recovery of nerve
4. Do nothing, sent to higher centre

Correct answer: 1. Immediate repair

Explanation: Ans is 'a' i.e. Immediate repair During mastoidectomy, when the facial nerve is injured, it is immediately explored. Injury to greater than 50% of the neural diameter of the facial nerve is addressed either with primary reanastomosis or reconstructed with the use of a nerve graft. Complete recovery of nerve function is uncommon in these cases.